Humectant in tooth paste serves to
1. as an abrasive
2. retains moisture
3. flavoring agent
4. foaming agent

Correct answer: 2. retains moisture